Subclavian artery steal is caused by stenosis of the subclavian artery at:
1. Proximal to the takeoff of the vertebral artery
2. Distal to the takeoff of the vertebral artery
3. Middle part
4. None of the above

Correct answer: 1. Proximal to the takeoff of the vertebral artery

Explanation: Subclavian artery steal is caused by stenosis of the subclavian artery proximal to the takeoff of the vertebral artery. This causes a retrograde flow in the ipsilateral internal mammary artery and the vertebral arteries. Symptoms of subclavian artery steal may include vertigo and syncope with left arm exertion, angina, or ulcerated or gangrenous fingers. Blood pressures measured in the upper extremities are nearly always unequal. The average difference is a 45-mm Hg decrease in systolic pressure in the arm supplied by the stenotic vessel. Ref: Stone C., Strecker-McGraw M., Juergens A. (2011). Chapter 18. Syncope. In R.L. Humphries, C. Stone (Eds), CURRENT Diagnosis & Treatment Emergency Medicine, 7e.